A child is below the third percentile for height. His growth velocity is normal, but chronologic age is more then skeletal age. The most likely diagnosis is _________
1. Constitutional delay in growth
2. Genetic short stature
3. Primordial dwarfism
4. Hypopituitarism

Correct answer: 1. Constitutional delay in growth

Explanation: Constitutional delay of growth and puberty (CDGP) is a term describing a temporary delay in the skeletalgrowth and thus height of a child with no physical abnormalities causing the delay. Reference: GHAI Essential pediatrics, 8th edition